Which of the following is NOT a prodrug ?
1. Enalapril
2. Imipramine
3. Sulphasalazine
4. Cyclophosphamide

Correct answer: 2. Imipramine